Fluid levels are not visible in -
1. Meconeum ileus
2. Intussusception
3. Colon pouch
4. Duodenal obstruction

Correct answer: 1. Meconeum ileus

Explanation: Answer is 'a' i.e. Meconeum ileus In meconium ileus meconium is so thick that it is unable to form air-fluid level desptie complete small intestinal obstruction (Note the multiple air-fluid level is a feature of mechanical small bowel obstruction & paralytic ileus).